Filters used to purify air in biological safety cabinets?
1. HEPA (High efficiency particulate air)
2. Sietz filters
3. Berkfield filters
4. Millipore/Porcelain filters

Correct answer: 1. HEPA (High efficiency particulate air)